The reaction that occurs when antibody and soluble antigen are mixed is demonstrated by the
1. Agglutination test
2. Precipitin test
3. Hemagglutination test
4. None of the above

Correct answer: 2. Precipitin test

Explanation: In precipitation test, antibody combines with soluble antigen. While in agglutination test, antibody combines with insoluble antigen